A PTT is required for monitoring of ?
1. Streptokinase
2. Warfarin
3. Heparin
4. Tranexamic acid

Correct answer: 3. Heparin

Explanation: Ans. is'c'i.e., Heparin(Ref KDT &/e p. 598, 599; Katzung llnle p. 592)